Anal opening is formed in which week of embryonic development:
1. 5th
2. 7th
3. 10th
4. None of the above

Correct answer: 2. 7th

Explanation: The hindgut terminates temporarily at an ectodermal-endodermal membrane, the cloacal membrane. This membrane separates the upper part of the anal canal, derived from endoderm, from the lower part, called the proctoderm that is formed by an invagination pit lined by ectoderm. The membrane breaks down in the seventh week to create the opening for the anus. Ref: Langman's embryology 11th edition Chapter 7.